Which of the following is not true in Necroptosis?
1. Some amount of inflammation is present
2. Cell membrane damage seen
3. Caspase 8 is involved but caspase 9 is not involved
4. It can be both physiological and pathological

Correct answer: 3. Caspase 8 is involved but caspase 9 is not involved

Explanation: Necroptosis is caspase independent programmed cell death.